The laser used in LASIK is -
1. Argon diode laser
2. Nd:YAG Laser
3. Excimer laser
4. Double frequency Nd: YAG Laser

Correct answer: 3. Excimer laser

Explanation: Ans. is 'c' i.e. Excimer laser Photocoagulation in diabetic retinopathyo It remains the mainstay of treatment of diabetic retinopathy and diabetic maculopathy.o Photocoagulation is done by using laser with long wavelength, such as krypton or diode argon (81 Onm): -a) Focal laser photocoagulation and Grid pattern photocoagulation - For clinically significant macular edema.b) Panretinal photocoagulation for proliferative diabetic retinopathyo Recently double frequency Nd: YAG is being preferred for both.Lasers used in ophthalmologyLaserWavelength (nanometer)Clinical applicationsNd: YAG (Neodymium - Yttrium- Aluminium- Garnet)1064Posterior capsulotomy, iridotomy, vitreolysisFrequency- doubled Nd:YAG532Retinal photocoagulation, cyclophotocoagulationArgon green514Trabeculoplasty, iridoplasty, pupillomydriasis, retinal photocoagulationDiode laser800Retinal photocoagulationKrypton red714Retinal photocoagulationExcimer (argon fluoride)193Photorefractive keratectomy (PRK), phototherapeutic keratectomy (PTK), LASIK, LASERFemtosecond laser (neodymium-glass)1053Femtosecond laser assisted refractive surgery, lamellar and full thickness comeal transplantsRetinal photocoagulation includes treatment for diabetic retinopathy, other causes of retinal neovascularization or retinal oedema, retinal breaks, central serous retinochoroidopathy, subretinal neovascular membranes, small retinal tumours, angiomas, etc. Argon green laser is the most widely used but other lasers are increasingly being used as substitutes in certain situations.o If you know the mechanism of action of various lasers, you can easily understand their usei) Nd: YAG laser is used to create holes e.g. posterior capsulotomy, irototomy.ii) Excimer laser has cutting power, used to take different types of cut on cornea for refractive surgeries.iii) Argon, diode and krypton lasers are used to create bums, i.e. photocoagulation.